All of the following are true regarding typhoid EXCEPT
1. Urinary carriers are more dangerous
2. Vi ab is used for detecting carrier
3. Vi is seen in normal population
4. Urine earner is associated with anomalies.

Correct answer: 3. Vi is seen in normal population

Explanation: Ans. is 'c' i.e. Vi seen in normal population. Vi Antigen is not seen in normal population. Its presence indicates infection. Detection of Vi antibody is not helpful for the diagnosis of cases and hence Vi antigen is not employed in Widal test.The persistence of Vi antibody indicates the development of carrier stateWhile it is useful as a screening test, confirmation should be made by culture."In Typhoid Fever the urinary carrier is more dangerous than an intestinal carrier." Urinary carrier is less frequent and is generally associated with some urinary lesions such as Calculi or schistosomiasis.